Amyloid is best identified by -
1. Staining with methyl violet
2. Secondary fluorescence in UV light with riboflavin
3. Congo red
4. Green birefringence of stained amyloid when viewed by polarizing microscope

Correct answer: 4. Green birefringence of stained amyloid when viewed by polarizing microscope

Explanation: Ans. is 'd' i.e., Green birefringence of stained amyloid when viewed by polarizing microscope